Fallen fragment sign is a feature of ?
1. Simple bone cyst
2. Aneurysmal bone cyst
3. Giant cell tumor
4. Fibrous dysplasia

Correct answer: 1. Simple bone cyst

Explanation: Ans. is 'a' i.e., Simple bone Simple bone cyst (Solitery/Unicameral bone cyst) Simple bone cyst occurs before the age of 20 years The most common site is proximal humerus (50%)followed by Proximal femur (25-30%). Radiological features are : - Concentric Metaphyseal Expansile lucent (lytic) Well defined border with sclerotic margin Fallen Fragment sign : - Cortical fragment of pathological fracture settles in the most dependent portion. Hinged fragment sign : - Sometimes fractured fragment does not separate from adjacent cortex.